Predominant blood supply to the Supra duodenal bile duct is derived from
1. Vessels that run upward along the bile duct from the duodenal end of the duct such as the retro duodenal and gastroduodenal arteries
2. Vessels that run downward along the bile duct from the hepatic end of the duct such as the right hepatic artery
3. Vessels that arise from the hepatic artery proper run up along the CBD and supplies it with twigs in Non-axial distribution
4. Vessels that arise from the cystic artery

Correct answer: 1. Vessels that run upward along the bile duct from the duodenal end of the duct such as the retro duodenal and gastroduodenal arteries

Explanation: Vascular supply of biliary tract The Supra duodenal and infrahilar bile duct are Predominantly supplied by two axial vessels that run in a 3- and 9-'o clock position These vessels are derived from the superior pancreaticoduodenal, right hepatic, cystic, gastroduodenal and retro duodenal arteries It has been estimated that only 2% of the arterial supply to this portion of the bile duct is segmental and arises directly off of the proper hepatic artery The bile duct and its bifurcation in the hilum derive their arterial supply from a rich network of multiple small branches from surrounding vessels Retro pancreatic bile duct derives its arterial supply from the retroduoden artery Venous drainage of the bile duct parallels the arterial supply and drains into the portal venous system The venous drainage of the gallbladder empties into the veins that drain the bile duct and doesnot flow directly to the portal vein Ref: Sabiston 20th edition Pgno : 1482-1483